All of the following findings are in favor of an inflammatory joint pathology except?
1. Juxta-articular osteoporosis
2. Non-uniform joint space loss
3. Bone erosions
4. Bilateral symmetric involvement

Correct answer: 2. Non-uniform joint space loss

Explanation: Ans BDo not forget that asymmetric or non uniform loss of joint space is characteristic of Degenerative joint disease (Osteoarthritis), whereas Symmetric loss of joint space is seen in Inflammatory joint disease.